If death of a patient occurs during surgery due to the negligence of the surgeon, then he can be charged under -
1. 299IPC
2. 300 IPC
3. 304 A IPC
4. 304 B IPC

Correct answer: 3. 304 A IPC